All of the following are used to improve attention deficit in children except ?
1. Cognitive enhancement therapy
2. Cognitive behavioural therapy
3. Cognitive remeditation therapy
4. Flooding

Correct answer: 4. Flooding

Explanation: Ans. is 'd. i.e., Flooding In attentention deficit following can be used : Cognitive enhancement therapy (also called cognitive remeditation therapy) Cognitive behavioral therapy Clinical behavior therapy Direct contingency management Intensive, packaged behavioral treatment